Prophaylaxis for malaria not used-
1. Doxycycline
2. Artesunate
3. Chloroquine
4. Mefloquine

Correct answer: 2. Artesunate